Hormone Therapy indicated in menopausal women
1. Hot flash
2. Ca breast
3. Endometriosis
4. Uterine bleeding

Correct answer: 1. Hot flash

Explanation: Ref. DC Dutta's Textbook of Obstetrics. Pg 890
 
INDICATIONS OF HORMONAL THERAPY

Relief of menopausal symptoms like hot flushes, senile vaginitis, mood swings, decreased libido, memory loss, irritability, increased risk of CAD
Prevention of osteoporosis
To maintain the quality of life in menopausal years